Which one of the following hepatitis viruses have significant prenatal transmission ?
1. Hepatitis E virus
2. Hepatitis C virus
3. Hepatitis B virus
4. Hepatitis A virus

Correct answer: 3. Hepatitis B virus